Sudden abdominal pain in polycythemia vera is due to
1. Hepatic vein thrombosis
2. Hyperviscosity
3. Pancreatitis
4. Small bowel-obstruction

Correct answer: 1. Hepatic vein thrombosis

Explanation: (A) (Hepatic vein thrombosis) (898-H 18th)* Intra abdominal venous thrombosis is particularly common in young women and may be catastrophic if a sudden and complete obstruction of the hepatic vein occurs (898- H 18th)* Thrombosis sometimes also occurs in the hepatic veins (producing Budd- chiary syndrome) and the porlal and mesenteric veins (leading to bowel infarction) (619- Robbins south- asian edition)* Intense pruritis and peptic ulceration may occurs both possibly resulting from the release of histamine from basophils (619- Robbins)Hepatic vein thrombosis is associated with (indecreasing order of frequency)* Polycythemia vera* Pregnancy* Post partum state* Use of oral contraceptions* Paroxysmal nocturnal hemoglobinuria (PNH)* Hepatocellular carcinomaBudd chiary's syndrome - characerised by* Hepatomegaly* Weight gain* Ascites* Abdominal vein